The time interval between diagnosid by early detection of screening and diagnosis by other means is -
1. Serial interval
2. Lead time
3. Time lag
4. Latent period

Correct answer: 2. Lead time

Explanation: .lead time is the advantage gained by screening.that is the period between diagnosis by early detection and diagnosis by other means.the benefits are alwaysd evaluated in terms of outcomes..lead time is the advantage gained by screening.that is the period between diagnosis by early detection and diagnosis by other means.the benefits are always evaluated in terms of outcomes. ref:park's textbook ,22 nd edition,pg no 131